All are true about Acanthosis nigricans except
1. It is appearance of hyperpigmented skin lesions in flexural areas
2. It is associated with Type II DM
3. Histopathology shows presence of acanthosis & papillomatosis
4. Involvement of palms and roughening of palms is called as Tripe palms.

Correct answer: 3. Histopathology shows presence of acanthosis & papillomatosis

Explanation: "Acanthosis nigricans" is a misnomer as there is no acanthosis and only papillomatosis is seen on histopathological examination.